In a patient with head injury, eye opening is seen with painful stimulus, localizes the pain and there is inappropriate verbal response. What would be score on Glasgow coma scale
1. 8
2. 9
3. 10
4. 11

Correct answer: 3. 10

Explanation: .GLASGOW COMA SCALE EYE OPENING VERBAL RESPONSES MOTOR RESPONSES spontaneous -4 oriented -5 obeys commands -6 to speech -3 confused -4 localises pain -5 to pain -2 inappropriate words -3 flexion to pain -4 none -1 incomprehensive words -2 abnormal flexion -3 none -1 extension to pain -2 none -1 TOTAL SCORE :15 MILD HEAD INJURY:13-15 MODERATE HEAD INJURY:9-12 SEVERE HEAD INJURY:less than 8(3-8) (Ref: SRB's Manual of Surgery, 5th edition, pg no.1093)